Indirect hyperbilirubinemia are seen in __________
1. Dubin-Johnson syndrome
2. Rotor syndrome
3. Gilbert syndrome
4. Gallstone

Correct answer: 3. Gilbert syndrome

Explanation: Gilbert syndrome causes unconjugated or indirect hyperbilirubinemia. Other options are the causes of conjugated hyperbilirubinemia. Other causes of unconjugated hyperbilirubinemia are hemolysis, bilirubin overproduction, physiological jaundice, breast milk jaundice, Crigler-Najjar syndrome, hypothyroidism, fasting. Reference : page 312 Ghai Essential Pediatrics 8th edition